Compared to the inter tubular dentin, peritubular
dentin is characterized by which of the following?
1. Greater stainability
2. Lesser content of inorganic salts
3. Greater content of inorganic salts
4. Greater content of large collagen fibers

Correct answer: 3. Greater content of inorganic salts